Commonest nerve involved in leprosy is:
1. Ulnar
2. Median
3. Radial
4. Sciatic

Correct answer: 1. Ulnar

Explanation: A i.e. Ulnar nerve